Frigidity is ?
1. Inability to initiate sexual arousal in males
2. Inability to initiate sexual arousal in females
3. Inability to initiate and maintain sexual arousal in males
4. Inability to initiate and maintain sexual arousal in females.

Correct answer: 4. Inability to initiate and maintain sexual arousal in females.

Explanation: Ans. is 'd' i.e., Inability to initiate and maintain sexual arousal in females Frigidity : Inability to initiate and maintain sexual arousal in females.